A 55 year old lady presenting to OPD with postmenopausal bleeding for 3 months has a 1 x1cm nodule on the anterior lip of cervix, The most appropriate investigation to be done subsequently is
1. Pap smear
2. Punch biopsy
3. Endocervical currettage
4. Colposcopy & biopsy

Correct answer: 2. Punch biopsy

Explanation: Post menopausal bleeding with a visible cervical growth needs a tissue diagnosis, done by a punch biopsy of the lesion. Paps smear is a screening test, done in asymptomatic patients. Colposcopy + biopsy is a diagnostic test, indicated in symptomatic patients, like those with postmenopausal or post coital bleeding, or in asymptomatic patients where paps screening was done and turned out abnormal Endocervical curettage is indicated in patients with suspected endocervical lesion, or if entire transformation zone could not be evaluated at colposcopy